In halo sign seen in csf rhinorrhea:
1. Blood is encircled with csf.
2. CSF is encircled with blood.
3. Both are mixed no demarcation.
4. None of the above.

Correct answer: 1. Blood is encircled with csf.

Explanation: CSF rhinorrhea seen in
Lefort 2&3
Naso orbital ethmoid fracture.
Cribiform plate fracture.
Frontal sinus fracture.
Sphenoidal sinus fracture